Average gain in length in first year is
1. 25cms
2. 50cms
3. 75cms
4. 100cms

Correct answer: 1. 25cms

Explanation: Length at birth- 50cms At 3 months- 60cms At 6 months- 65cms At the end of 1st yr- 75cms Hence gain in length in first year is (75-50= 25cms) Ref: Ghai,9th edition, Table 2.1